The type of cataract seen in Wilson's disease is:
1. Sunflower cataract
2. Snowflake cataract
3. Posterior subcapsular cataract
4. Coronary cataract

Correct answer: 1. Sunflower cataract

Explanation: Ans. Sunflower cataract